In normal puerperium, all true regarding involution of uterus except :
1. At the end to the 6 weeks, becomes non pregnant state
2. The number of muscle fibres is not decreased but there is substantial reduction of the myometrial cell size
3. At the end of the 4Th week uterus becomes a pelvic organ
4. Weight of uterus about 60 gram at end of six weeks

Correct answer: 3. At the end of the 4Th week uterus becomes a pelvic organ

Explanation: Ans. is c i.e. At the end of the 4th week uterus becomes pelvic organ Involution of uterus The process by which the post partum uterus returns to its pre pregnant state is called as involution Involution is achieved by decreases in the size of muscle fibres. Immediately following delivery, the fundus is just below the umbilicus (13.5 cms above the symphysis pubis). After 24 hours of delivery, height of uterus decreases by 1.25 cm/day. By the end of 2 weeks - uterus is a pelvic organ. By the end of 6 weeks - uterus returns almost to its normal size (pre pregnant size). Regeneration of endometrium occurs by 3 weeks. Placental site regeneration occurs by 6 weeks.